All are true about acromegaly except :
1. Increased IGF-1 levels
2. Excessive growth occurs before fusion of the epiphyses of the long bones
3. Somatostatin analogues can be used
4. Growth hormone levels increased

Correct answer: 2. Excessive growth occurs before fusion of the epiphyses of the long bones

Explanation: Ans. B. Excessive growth occurs before fusion of the epiphyses of the long bonesIn acromegaly, IGF-I levels are invariably high and reflect a Log-Linear relationship with clrculatlng GH concentrations.For acromegaly, somatostatin analogues and GH receptor antagonists are indicatedAge-matched serum IGF-I levels are elevated in acromegaly.Somatostatin analogues are used as adjuvant treatment for preoperative shrinkage of large invasive macroadenomas.Transsphenoidal surgical resection by an experienced. surgeon is the preferred primary treatment.Tumors of the somatotrophs of the anterior pituitary (pituitary adenomas) secrete large amounts of growth hormone, leading to glgantbm ln chlUren and acromegaly in adults.Hypersecretion of growth hormone is accompanied by hypersecretion of prolactin in 20-40% of patients with acromegaly.